The 'Molten Wax' appearance of bones On X-ray is seen in?
1. Osteoporosis
2. Osteopoikilosis
3. Melorheostosis
4. Osteogenesis imperfecta

Correct answer: 3. Melorheostosis

Explanation: Melorheostosis (Candle Bone Disease) It is a nongenetic disease characterized by asymmetrical dense irregular cortical longitudinal hyperostosis of particularly the long bones giving appearance like wax running down the side of a candle (Molten-wax or 'Flowing candle wax' appearance), vascular anomalies, abnormal pigmentation and muscle contracture and wasting. 'Dripping or Flowing candle wax' appearance of spine: DISH (Diffuse Idiopathic Skeletal Hypertrophy) 'Dripping or Flowing candle wax' appearance of ventricles in brain: Tuberous sclerosis